Congenital larygeal stridor also know as
1. Laryngeal web
2. Laryngomalocia
3. Laryngeal atenosis
4. Vocal  cord palsy

Correct answer: 2. Laryngomalocia